Minimum duration of exposure required to develop coal miner's pneumoconiosis is:
1. 8 years
2. 12 years
3. 15 years
4. 18 years

Correct answer: 2. 12 years

Explanation: Coal miner's pneumoconiosis or anthracosis is caused by exposure to coal dust. Exposure of around 12 years may be required before symptomatic disease develops. Ref: Park 21st edition page: 747.